Exopthalmos not present in
1. Thyrotoxicosis
2. Blow in fracture
3. Blow out fracture
4. None of the above

Correct answer: 3. Blow out fracture